A pregnant lady was found to be HIV positive in First trimester. Next line of management is:
1. Start ART now, continue throughout pregnancy and till 6 weeks after delivery
2. Start ART now, continue throughout pregnancy and till lifelong
3. Start ART after First trimester, continue throughout pregnancy and till 6 weeks after delivery
4. Start ART after First trimester, continue throughout pregnancy and till lifelong

Correct answer: 2. Start ART now, continue throughout pregnancy and till lifelong

Explanation: Current guidelines ART should be started at any CD4 count Any age Any clinical staging Any & all population New born of HIV +ve mother should be given nevirapine & cotrimoxazole, after delivery In HIV +ve pregnant female,start ART As soon as possible , throughout pregnancy & lifelong